Which of these is diagnostic of menopause?
1. Serum FSH >40
2. Serum LH >20
3. Serum FSH <40
4. Serum estradiol <30

Correct answer: 1. Serum FSH >40

Explanation: Ans, is a, i.e. Serum FSH > 40Ref: Shaw's Textbook of Gynecology 15th/ed, p62Diagnostic Criteria for Menopause* Estrogen (E2) low at 10-20pg/mL* Estrone (E1) - 30-70pg/mL* E2/E1 < 1* Urine FSH >40IU/L